Urinary alkalization increases urine elimination of all the following drugs, except:
1. Salicylate
2. Methotrexate
3. Amphetamine
4. Phenobarbital

Correct answer: 3. Amphetamine

Explanation: Ans. Amphetamine